Serum lithium levels for mania should be maintained in between
1. 0.2-0.8 meq/l
2. 0.8-1.2 meq/l
3. 2-2.5 meq/l
4. 1.2-2 meq/l

Correct answer: 2. 0.8-1.2 meq/l

Explanation: Lithium is a mood stabilizer It is used for the treatment of mania it was introduced by John F Cade it is a liver friendly drug it should not be given in patients with renal abnormalties it has a narrow thereaputic index above 0.8-1.2 meq/L it leads to lithium toxicity TOC for lithium toxicityis HEMODIALYSIS Therapeutic drug monitoring is done for lithium as it is not a safe drug its levels should be within 0.8-1.2meq/l. Ref: Essentials of postgraduate psychiatry By JN Vyas 1st ed Pg 620